T.J. Crow proposed a classification of schizophrenia patients into type I and type II. Type II schizophrenia is characterised by all, EXCEPT:
1. Negative symptoms
2. Poor response to medications
3. Disorganised behaviour
4. CT scan abnormal

Correct answer: 3. Disorganised behaviour

Explanation: Individuals grouped as having type II schizophrenia manifest predominantly negative symptomatology, do not respond well to medications, and have an illness course characterized by insidious onset and poor long-term outcome. Structural brain abnormality such as reduced cerebral volume also seen with type II. Ref: Schizophrenia: Cognitive Theory, Research, and Therapy By Aaron T. Beck, Neil A. Rector, Neal Stolar, Paul Grant, 2011, Page 5.